Vaccines that can be safely given during pregnancy are the following except -
1. Tetanus
2. Influenza
3. Rubella
4. Pneumococcus

Correct answer: 3. Rubella